Which of the following represents the most common fingerprint pattern?
1. Arch
2. Loop
3. Whorl
4. Composite

Correct answer: 2. Loop

Explanation: Loops are the most common pattern of finger prints in India. Common types of finger prints in India are as follows: Loop - 67%: radial/ulnar, Whorls - 25%, Arches - 6-7% and Composite - 1-2%. In a whorl the ridges form a series of circles or spirals around the core. In a composite, there is combination of two or more types, namely arches, loops or whorls. Ref:The Essentials of Forensic Medicine and Toxicology By Dr K S Narayan Reddy, Page 75